Incineration is not done for – a)  Anatomical wasteb) Sharps wastec)  Cytotoxic drugsd)  Radioactive wastee) Animal waste
1. c
2. bd
3. ab
4. ac

Correct answer: 2. bd